All of the following are inherited thrombocytopenia syndromes, EXCEPT:
1. May hegglin anomaly
2. Epstein's syndrome
3. Fechtner syndrome
4. Pelger huet anomaly

Correct answer: 4. Pelger huet anomaly

Explanation: Thrombocytopenia rarely inherited, and pattern of inheritance is either autosomal dominant, recessive or X linked. Examples are May hegglin anomaly, Sebastian, Epstein's and Fechtner syndrome. A common feature of these disorders is large platelets. Ref: Harrisons principles of internal medicine, Edition -18, Page - 969.